Which of the following factors are primarily contributory to the shedding of deciduous tooth?
1. Hydrostatic
2. Vascular pressure
3. Oncotic pressure
4. Masticatory pressure

Correct answer: 4. Masticatory pressure